Which drug is given to prevent HIV transmission from mother to child, especially during breast feeding.
1. Nevirapine
2. Lamivudine
3. Stavudine
4. Abacavir

Correct answer: 1. Nevirapine

Explanation: The intrapartum and postpartum Nevirapine regimen, with one dose to the mother at the onset of labour and one dose to the child within 72 hours, provides the most feasible intervention yet for developing countries.